Mechanism of action of cisapride?
1. Inhibition of D2 receptors
2. Antagonism of 5HT3 receptors
3. Antagonism of 5HT4 receptors
4. Agonism of 5HT4 receptors

Correct answer: 4. Agonism of 5HT4 receptors

Explanation: Cisapride, mosapride, and renzapride are prokinetic agents acting by 5HT4 agonismRef: HL Sharma 3rd ed.Pg 355.